True about carbamoyl phosphate synthase ?
1. Mitochondria] enzyme
2. Cytosolic enzyme
3. Catalyzes condensation reaction
4. All are true

Correct answer: 4. All are true

Explanation: Ans. is 'd' i.e., All are true There are two types of carbamoyl phosphate synthase (CPS) :?CPS - I:- catalyzes the condensation of CO2 and ammonia to form carbomoyl phosphate in urea cycle. It is a mitochondrial enzyme.CPS - II:- It is a cytosolic enzyme and participates in pyrimidine synthesis.